Which of the following amino acid does not show degeneracy ?
1. Serine
2. Valine
3. Alanine
4. Methionine

Correct answer: 4. Methionine

Explanation: Degeneracy or redundancy Property of codon that each amino acid has more than one codon. Two amino acids do not show degeneracy i.e , Methionine Tryptophan. (They have only one codon.)